Emergency presentation of imperforate hymen is
1. Retention of urine
2. Mass abdomen
3. Cyclic pain
4. Hematocolpos

Correct answer: 1. Retention of urine

Explanation: Imperforate hymen present with Amenorrhea with secondary sexual characters Cyclical abdominal discomfort Retention of urine Palpation of midline hypogastric lump Ref: Shaw Gynecology 17 e pg 67.